In comparison to amalgam restoration, composite restorations are _____.
1. Stronger
2. More technique-sensitive
3. More resistant to occlusal forces
4. Not indicated for Class II restorations

Correct answer: 2. More technique-sensitive

Explanation: Composite restorations are more technique sensitive than amalgam restorations because the bonding process is very specific (requiring exact, correct usage of the various materials and an isolated, non contaminated field), and the insertion and contouring of composites are more demanding and time-consuming. Composites are not stronger than amalgam and have similar wear resistance compared to amalgams. Composites are indicated for Class II restorations.